Which of the following most often causes cholestatic jaundice:
1. INH
2. Erythromycin estolate
3. Pyrazinamide
4. Ethionamide

Correct answer: 2. Erythromycin estolate

Explanation: Erythromycin estolate